CHF in an infant is characterized by all Except
1. Pedal edema
2. Tachypnea
3. Sweating
4. Poor weight gain

Correct answer: 1. Pedal edema

Explanation: Congestive Cardiac Failure in InfantsSymptomsSignsFeeding difficulty.Takes less volume per feed.Diaphoretic while sucking.Forehead sweating.Suck-rest-suck cycle.Poor weight gain. Periorbital edema Clothes no longer fit.Increasing cloth sizeRapid breathing/nasal flaring/cyanosis/chest retractions.Tachycardia.Hepatomegaly. Occasionally Splenomegaly.Periorbital edemaEdema in flanks. Dependent edema (Refer: Nelson's Textbook of Paediatrics, 19thedition,pg no:1530)